Gene instability associated with malignancy in -
1. Klippel field syndrome
2. Ataxia telangiectasia
3. Marfan's syndrome
4. Sickle cell disease

Correct answer: 2. Ataxia telangiectasia

Explanation: . Ataxia telangiectasia